In cases of examination of victims of sexual offence, spray of toluidine blue is used for
1. Identification of clotted blood on injuries
2. Partially healed micro injuries
3. Identify dried semen traces
4. Recent micro injuries

Correct answer: 4. Recent micro injuries

Explanation: Significance of toludine blue test: In the genital assessment of sexual assault patients the TBD(Toluidine Blue Dye) can be used to identify abrasions; not seen by the naked eye. TBD was used to identify micro-tears or abrasions, especially in the posterior fourchette, that is a common site of trauma from intercourse. Positive results with TBD does not determine whether the injury occurred from consensual or non-consensual intercourse. Procedure: After the collection of swabs, apply 1% aqueous solution of Toludine blue dye to the posterior fourchette and fossa navicularis. After allowing a minute for the dye uptake, remove the excess. Dye uptake is considered positive and affirms injury when there is residual blue coloring of the laceration or its border after the excess dye has been removed. Indication: To visualize subtle injuriesQ